Which of the following non collagenous protein of dentin prevents premature mineralization
1. Decorin and Biglycans
2. Dentin Phosphoprotein
3. Dentin Sialoprotein
4. All of the above

Correct answer: 1. Decorin and Biglycans